A tentatively female newborn has ambiguous genitalia. What appears to be a vagina is associated with a significantly enlarged clitoris resembling a penis. Other findings include hyponatremia, hyperkalemia, and hypotension. Deficiency of which of the following is suggested by these findings?
1. 11-Hydroxylase
2. 17-Hydroxylase
3. 21-Hydroxylase
4. Amylin

Correct answer: 3. 21-Hydroxylase

Explanation: Deficiency of enzyme 21-hydroxylase (mc) 11 hydroxylase 17 hydroxylase | Cortisol | Mineralocorticoids (Salt losing hypotension) | Sex hormones(Virilization) Similar to 21 hydroxylase except | Deoxycorticosterone (Hypertension) | Cortisol | Mineralocorticoid | Sex hormone